pH of amniotic fluid is -
1. 6.2
2. 6.8
3. 7.2
4. 8.2

Correct answer: 3. 7.2

Explanation: Ans. is 'c' i.e., 7.2 * pH of amniotic fluid is 7.0-7.5.* The volume of amniotic fluid at term is 800 mL.* An osmolarity of 250 mOsmol/L of amniotic fluid is suggestive of fetal lung maturity.* Fetal urine is the major component of amniotic fluid.